Failure of the intestinal loops to return to the abdominal cavity by week 11 after physiological hernia at 6th week results in the formation of:
1. Omphalocele
2. Gastroschisis
3. Anal agenesis
4. Ileal diverticulum

Correct answer: 1. Omphalocele